Treatment of cord prolapse is based on all of the following factors, except:
1. Fetal viability
2. Fetal maturity
3. Fetal weight
4. Cervical dilatation

Correct answer: 3. Fetal weight